The short bowel syndrome is characterized by all of the following except -
1. Diarrhea
2. Hypogastrinemia
3. Weight loss
4. Steatorrhoea

Correct answer: 2. Hypogastrinemia